The shortest diameter in fetal head is:
1. Biparietal diameter
2. Bimastoid diameter
3. Occipito frontal diameter
4. Bitemporal Diameter

Correct answer: 2. Bimastoid diameter

Explanation: IMPORTANT FETAL SKULL PARAMETERS Sub occpito brematic 9.5 cms : Sub mento bregmatic 9.5 cms Biparietal diameter 9.5 cms Mento vertical 14 cms Submento vertical 10cms Bi temporal diameter 8 cms Bimastoid: 7.5 cms